Treatment of choice for small intestine carcinoma:
1. Radiotherpay
2. Chemotherapy
3. Surgery
4. None of the above

Correct answer: 3. Surgery

Explanation: Ans. C: Surgery Like small bowel tumours, lymphoma presents with obstruction, bleeding or diarrhea. Complete resection offers the only hope of cure